Rabbies encephalitis presents with all of the following clinical features except -
1. Tonic spasm of body
2. Sound phobia
3. Hypersalivation
4. Hypotonic paralysis

Correct answer: 4. Hypotonic paralysis

Explanation: Acute encephalitis phase begins with hyperactivity, bouts of bizarre behavior, agitation or seizures, difficulty in drinking, hydrophobia REF:ANANTHANARAYANAN TTEXTBOOKOF MICROBIOLOGY 9EDITION PGNO.533